Which of the following inhalational agent is contraindicated in renal disease?
1. Methoxyflurane
2. Sevoflurane
3. Desflurane
4. Isoflurane

Correct answer: 1. Methoxyflurane

Explanation: Methoxyflurane produces inorganic fluoride, which was responsible for the sporadic incidence of nephrotoxicity (i.e., high-output renal failure) after prolonged anesthesia Basics of anesthesia 7e pg:95